Good prognosis factors of ALL are all except –
1. Hyperdipoidy
2. WBC cound < 5000
3. Age > 10 years
4. T (12:21) translocation

Correct answer: 3. Age > 10 years

Explanation: Age more than 10 years has bad prognosis.